Osteosclerotic bone metastasis is found most commonly in which carcinoma:
1. Kidney
2. Thyroid
3. Lung
4. Prostate

Correct answer: 4. Prostate

Explanation: Ans is 'd' ie. Prostate "Although some tumors may produce mainly osteolytic lesions (e.g. kidney cancer) and others mainly osteoblastic lesions (e.g. prostate cancer), most metastatic lesions produce both types of lesion and may go through stages where one or the other predominates." -Harrison 17/e p613 (16/e p562)Spine > proximal femur > pelvis > ribs > sternum > proximal humerus > skullLytic expansile metastasis seen inRenal CancerThyroid carcinomasOsteolytic lesions are associated with hypercalcemia and excretion of hydroxyproline - containing peptides.Osteoblastic lesions are associated with increased levels of serum alkaline phosphatase.Metastasis distal to knee and elbow is rare and usually arises from a primary tumors of theBronchusColon orBladder